Mass in ear on touch bleeding heavily, cause is:
1. Glomus Jugulare
2. Ca mastoid
3. Acoustic neuroma
4. Angiofibroma

Correct answer: 1. Glomus Jugulare

Explanation: Ans. A Glomus Jugulare The answer to this question is quite obvious as Glomus tumors are highly vascular tumors and bleed on Touch.